All of the following drugs have been used for medical abortion except :
1. Mifepristone
2. Misoprostol
3. Methotrexate
4. Atosiban

Correct answer: 4. Atosiban

Explanation: Ans. is d i.e. Atosiban Drugs used for Medical abortion : Prostaglandins : - Misoprostol - Gemeprost Mifepristone Methotrexate Tamoxifen